Oroantral fistula is caused by all the following except:
1. Dental extraction
2. Carcinoma of maxilla
3. Caldwell luc operation
4. Maxillectomy

Correct answer: 4. Maxillectomy

Explanation: Oroantral fistula - there is a fistula between oral cavity and maxillary antrum. Causes 1. Dental procedure (extraction)2. Malignancy (because it can lead to perforation)3. Caldwell luc's operation In case of maxillectomy we remove maxilla antrum ,so the fistula will not be there.